Condition which does not cause metabolic acidosis:
1. Renal failure
2. Ureterosigmoidostomy
3. Pancreatic or biliary fistula
4. Pyloric stenosis

Correct answer: 4. Pyloric stenosis

Explanation: Ans. (d) Pyloric stenosis* Pyloric stenosis, Chronic DU with cauterization and other causes of GOO Causes# Hypochloremia# Hypokalemia# Hyponatremia# Metabolic alkalosis# Paradoxical aciduria